Not a defence mechanism :
1. Derailment
2. Represession
3. Distortion
4. Undoing

Correct answer: 1. Derailment

Explanation: A i.e. Derailment Derailment is a disorder in thought. It is gradual or sudden deviation in the train of thought without blocking, sometimes used synonymously with loosening of association. Defence mechanism of OCD are undoing, inhibition, displacement & reaction formation but not obsessionQ.